Epidemic Kaposi sarcoma in HIV is caused by ?
1. Hepatitis B
2. HIV
3. Herpes group of virus
4. All of the above

Correct answer: 3. Herpes group of virus

Explanation: Ans c (Herpes group of virus) ref Table 124-2 Harrison puge no:823 * Kaposi's sarcoma, body-cavity lymphomas-HHV-8 * Epidemic Kaposi sarcoma is AIDS related Kaposi sarcoma Malignancies associated with AIDS are: non-Hodgkin's lymphoma Hodgkin's disease multiple myeloma leukemia melanoma cervical, brain, testicular, oral, lung, and anal cancers. More about Kaposi sarcoma multicentric neoplasm consisting of multiple vascular nodules appearing in the skin, mucous membranes, and viscera may be seen at any stage of HIV infection, even in the presence of a normal CD4+ T cell count Lesions often appear in sun-exposed areas, particularly the tip of the nose, and have a propensity to occur in areas of trauma (Koebner phenomenon) skin, lymph nodes, gastrointestinal tract, and lung are the organs most commonly affected by KS. lymph node involvement may be seen very early in KS and is of no special clinical significance chest x-ray characteristically shows bilateral lower lobe infiltrates that obscure the margins of the mediastinum and diaphragm.